In relation to the drug Sugammadex
1. It is recommended for immediate reversal of Vecuronium
2. It can effectively reverse Cisatracurium
3. 16mg/kg is recommended intravenously for the immediate reversal of Rocuronium
4. It is an a-cyclodextrin that encapsulates amino-steroid neuromuscular blocking agents

Correct answer: 3. 16mg/kg is recommended intravenously for the immediate reversal of Rocuronium

Explanation: There is currently no data available regarding the use of sugammadex for the 'immediate reversal' of vecuronium. However, sugammadex is recommended for reversal of vecuronium once spontaneous T2 twitch has been achieved, using a dose of 4mg/kg to reverse 0.1mg/kg of vecuronium.Sugammadex is not effective against benzyl-isoquinolinium muscle relaxants (e.g. cisatracurium and mivacurium).Phase I-IV trials have shown sugammadex to be effective for rapid reversal of rocuronium-induced neuromuscular blockade (16mg/kg).Sugammadex is a member of the g-cyclodextrin family, which encapsulates aminosteroid neuromuscular blocking agents (rocuronium, vecuronium, pancuronium).